Most common cause of death in measles?
1. Encephalitis
2. Meningitis
3. Dehydration
4. Pneumonia

Correct answer: 4. Pneumonia

Explanation: Ans. is 'd' i.e., Pneumonia Most common cause of death in measles is pneumoniao The intense immune responses induced by measles virus infection are paradoxically associated with depressed responses to unrelated (non measles virus) antigens, which persist for several weeks to months beyond resolution of the acute illness.o This state of immune suppression enhances susceptibility to secondary infection with bacteria and viruses that cause pneumonia and diarrhea and is responsible for a substantial proportion of measles-related morbidity and deaths.